Anti IgE monoclonal antibody used in bronchial asthma is
1. Mepolizumab
2. Omalizumab
3. Keliximab
4. Altrakincept

Correct answer: 2. Omalizumab

Explanation: It is a humanized monoclonal antibody against IgE. Administered i.v. or s.c., it neutralizes free IgE in circulation without activating mast cells and other inflammatory cells.
In severe extrinsic asthma, omalizumab has been found to reduce exacerbations and steroid requirement.
It is very expensive; use is reserved for resistant asthma patients with positive skin tests or raised IgE levels who require frequent hospitalization.